A 85 yr old female developed multiple blisters on trunk and thighs. Nikolsky's sign is negative. The lesions came on and off. The most probable diagnosis is
1. Lichen planus
2. Pemphigus vulgaris
3. Bullous pemphigoid
4. Lepra reaction

Correct answer: 3. Bullous pemphigoid

Explanation: Bullous Pemphigoid (BP) * Most common autoimmune bullous disorder with chronic nature; typically in patients over 60 Autoantigen: - * BPAG2 (collagen XVII): 180 kDa (NC16A domain), transmembrane hemidesmosomal protein * BPAG1: 230 kDa, cytoplasmic plaque protein Clinical features:- Often presents with initial urticarial lesions which evolve into large, tense bullae over medial thighs, groin, abdomen, and legs; +- pruritus initially with subsequent tenderness; no constitutional symptoms unless extensive disease; 10-35% with oral involvement Drug-induced:- Furosemide, NSAIDs, phenacetin, PCN-derivatives, gold, potassium iodide, captopril, enalapril, D-penicillamine, sulfasalazine Histology:- Subepidermal bulla with || eosinophils and lymphocytes in papillary dermis, +- neutrophils. Investigations:- * DIF: linear C3 and IgG (latter weaker) at BMZ * IIF: + in 60-80%; IIF on salt-split skin (SSS) shows binding to epidermal side of split (roof of blister) Treatment:- Oralcorticosteroid, steroid-sparing agent (azathioprine, mycophenolate mofetil, etc), TCN + nicotinamide, dapsone; good prognosis. Ref:- Sima Jain; pg num:- 130